Which of the following causes opening of eustachian tube
1. Salpingopharyngeus
2. Levator veli palatine
3. Tensor veli palatine
4. None of the above

Correct answer: 3. Tensor veli palatine

Explanation: The medial fibres of tensor veli palatine are attached to the lateral lamina of the tube and when they contract they help to open the tube lumen. These fibres also called dilator tube muscles. Reference: Dhingra 6th edition.